Antiepileptic drug implicated in causing toxic epidermal necrolysis is :
1. Felbamate
2. Gabapentin
3. Lamotrigine
4. Vigabatrin

Correct answer: 3. Lamotrigine